Private Doctor refusing to treating a case of sexual offence and referring to govt hospital is
1. Not an offence
2. Punishable under 166 B IPC
3. Punishable under 357 (c) Cr P C
4. Punishable under 327 (c) Cr P C

Correct answer: 2. Punishable under 166 B IPC

Explanation: Treatment of rape victim and information to police: All hospitals, public or private, should immediately provide first-aid or medical treatment, free of cost, to the survivor/victim of rape or acid attack, and should immediately inform the police . Denial of treatment of such victims is punishable under Sec. 166-B IPC with imprisonment upto 1 year and with/without fine.